Which of these muscles undergoes wasting first in osteoarthritis knee-
1. Quadriceps only
2. Hamstrings only
3. Gastronemius
4. All of the above

Correct answer: 1. Quadriceps only

Explanation: Muscle atrophy particularly involves the quadriceps muscle.
All periarticular muscles around the knee joint may undergo wasting in advanced osteoarthritis knee.
However muscle atrophy particularly involves the quadriceps which is the earliest muscle to undergo wasting.
In patients with osteoarthritis knee, quadriceps strengthening exercise form an important management component to protect the articular cartilage from stress.